A person undergone appendisectomy. On post op day 10 he died, postmortem patholist found gossypiboma. It is a case of -
1. Homicide
2. Suicide
3. Criminal negligence
4. None of the above

Correct answer: 3. Criminal negligence

Explanation: Criminal negligence includes gross absence of care and skill by doctor through commission or omission or when the doctor performs an illegal act. Dr.K.S.Narayana Reddys Synopsis of Forensic Medicine & Toxicology 27th edition Pg.21